The most important factor that influences the outcome of penetrating cardiac injuries is
1. Comminuted tear of a single chamber
2. Multiple-chamber injuries
3. Coronary artery injury
4. Tangential injuries

Correct answer: 3. Coronary artery injury

Explanation: Multiple studies in the literature confirm that injuries to the coronary arteries are the most important factor in determining outcome after a penetrating cardiac injury. Tangential injuries are the least serious. Injury to a single chamber--even if comminuted--or to multiple chambers is less likely to be fatal than are injuries that involve a major coronary artery. ref - Harrisons 20th ed